The major difference between typical and atypical antipsychotics is that
1. The latter cause minimal or no increase in prolactin
2. The former cause tardive dyskinesia
3. The former are available as parenteral preparations
4. The latter cause substantial sedation

Correct answer: 2. The former cause tardive dyskinesia

Explanation: The most important reason to classify the antipsychotics in typical and atypical agents is the occurrence of extrapyramidal symptoms. Typical antipsychotics have significant extrapyramidal symptoms such as parkinsonism, acute muscle dystonia and tardive dyskinesia. These side-effects are negligible or minimal with atypical agents like clozapine, olanzapine and risperidone.